Muscle most resistant to non depolarizing block is
1. Intercostal
2. Abdominal
3. Diaphragm
4. Adductors.

Correct answer: 3. Diaphragm

Explanation: C i.e. Diaphragm